Large doses of pyridoxine are of value in some cases of –
1. Phenylketonuria
2. Homocystinuria
3. Nonketotic hyperglycemia
4. Ketotic hyperglycemia

Correct answer: 2. Homocystinuria